Which of the following is/ are a side effect/s of Dapaglifozin?
1. Increased weight loss
2. Polyuria
3. Increased incidence of urinary tract infections
4. All the above

Correct answer: 4. All the above

Explanation: Ans. is 'd' i.e., All the above Dapaglifozin* Dapagliflozin is an oral hypoglycemic drug of the gliflozin class, used to treat type 2 diabetes.* Dapagliflozin inhibits subtype 2 of the sodium-glucose transport proteins (SGLT2) which are responsible for at least 90% of the glucose reabsorption in the kidney. Blocking this transporter mechanism causes blood glucose to be eliminated through the urine.* After single daily dose it produces round the clock glycosuria and lowers blood glucose levels.* Since dapagliflozin leads to heavy glycosuria (sometimes up to about 70 grams per day) it can lead to rapid weight loss and tiredness.* The glucose acts as an osmotic diuretic (this effect is the cause of polyuria in diabetes), which can lead to dehydration.* The increased amount of glucose in the urine can also worsen the infections already associated with diabetes, particularly urinary tract infections and thrush (candidiasis).* Dapagliflozin is also associated with hypotensive reactions. There are concerns it may increase the risk of diabetic ketoacidosis.